Which of the following is typical hanging
1. Knot is just below the chin
2. Knot is at occiput
3. Body is fully suspended
4. Legs are touching the ground

Correct answer: 2. Knot is at occiput

Explanation: Refer the byte "Hanging and strangulation".